General fertility rate is a better measure of fertility than the crude birth rate because the denominator includes
1. 15 - 45 years of aged females
2. Midyear population
3. Total women population
4. Married women population

Correct answer: 1. 15 - 45 years of aged females

Explanation: General fertility rate is the number of live births per 1000 women in the reproductive are group ( 15-44 or 49 years) in a given year GFR = number of live birth in an area during the year X 1000/ mid year female population age group 15-44 (or 49) in the same area in same year General fertility rate is a better measure of fertility than the crude birth rate because the denominator includes the number of women in the child bearing age rather than the whole population Reference : Park's textbook of preventive and social medicine, 23rd edition, Page no: 488